Cell lining of common bile duct is :
1. Stratified columnar
2. Stratified squamous
3. Simple cuboidal
4. Simple columnar

Correct answer: 4. Simple columnar

Explanation: Ans. 4. Simple columnar > 3. Simple cuboidal Cell lining of common bile duct is simple columnar epithelium, it may be cuboidal at the proximal region. The Intrahepatic ducts, cystic duct, and the common bile duct are lined by tall columnar epithelium. Ducts are usually lined by simple cuboidal epithelium, which differentiates to form the secretory and duct portions of glands. Stratified cuboidal epithelium protects areas such as the ducts of sweat glands, mammary glands, and salivary glands. At locations like common bile duct, the ducts may be lined by columnar epithelium.